If a normal SNA = 82°. A patient has SNA = 90°. This suggests:
1. Maxillary teeth protrusion
2. Maxillary protrusion
3. Mandibular protrusion
4. Mandibular retrusion

Correct answer: 2. Maxillary protrusion